Positive tuberculin test means?
1. Resistance to TB
2. Susceptibility to TB
3. Hypersensitivity
4. None of the above

Correct answer: 3. Hypersensitivity

Explanation: Ans. is 'c' i.e., Hypersensitivity A positive tuberculin test indicates hypersensitivity to tuberculoprotein, it may be due to : Active infection Subclinical infection Past infection BCG vaccination In overwhelming tuberculosis (fulminant cases) due to depressed cellular immunity montoux test may be false negative.